Autoclaving is used for sterilization of -
1. Culture media
2. Catgut suture
3. Endoscope
4. Heat labile instruments

Correct answer: 1. Culture media

Explanation: Ans. is 'a' i.e., Culture mediaAutoclaving* Autoclaving is a method to sterilize equipment by subjecting them to high pressure at 121degC or more.lt is sterilization by steam under pressure. The device which is used for autoclaving is known as autoclave.* Autoclaving is usually done at 121degC for 15 minutes. It can also be done at 126degC for 10 minutes or at 134degC for 3 minutes.* Autoclaving kills spores effectively.* It is used for sterilization of culture media, dressing, aprons, surgical instruments except sharp instruments, gloves and catheters.